Reapithelization after curettage occurs after:
1. 2-7 days
2. 14 days
3. 21 days
4. 1 month

Correct answer: 1. 2-7 days